Bacteria is not shed in -
1. Carrier state
2. Latent infection
3. Incubation period
4. Subclinical infection

Correct answer: 2. Latent infection

Explanation: in latent infection the host does not shed the infectious agent which lies dormant within the host without symptoms.and often without demonstrable presence in blood ,tisssues ,or bodily secretions of the host.latent infection occurs in herpes simplex,zinser disease,infections due to slow viruses ,ancylostomiasis,etc.the role of latent infection in the eprpetuation of certain infections is great. ref:park's textbook,ed 22,pg no 92